Puetz-Jegher syndrome is characterised by
1. Deafness
2. Multiple supernumerary teeth
3. Multiple intestinal polyps
4. Scleroderma

Correct answer: 3. Multiple intestinal polyps